Visceral larva migrans caused by:
1. Strongyloides
2. Toxocara canis
3. Ankylostoma
4. Dirofilaria

Correct answer: 2. Toxocara canis

Explanation: Ans (b) Toxocara canis It generally seen when human infection occur with non human species of nematodes so larvae is unable to complete its normal development . It can also occur when parasitic nematodes infect immune person, so that its immunity does not allow normal progression of infection. Larva Migrans Cutaneous larva migrans Visceral larva migrans Larva migrans takes place in skin) (Larva migrans occurs in deeper tissues) Also called as creeping eruption Caused by migration of larvae of nonhuman species of nematodes that infect by oral route Caused by nematode larvae that infect by skin penetration Causes include Causes include Ancylostoma brazilense (MC) Toxocara canis (MC) A. caninum Toxocara call Necates americanus Anisakis Loa loca A. lumbricoides Ganasthoma spinigerum Ganasthoma spinigerum Clinical features Gnathostomiasis produce lesion in deeper subcutaneous tissue or in muscles Fever, hepatomegaly, pneumonitis, hyperglobal anemia, pica, neurological disturbances (called as neural larva migrans) and endophthalmitis (Ophthalmic larva migrans) Strongyloides stercoralis causes larava currens (= rapidly moving lesion) Diagnosis by passive hemoglutination, bentonite flocculation, micropreapitation, ELISA Loa loa, Dirofilaria Fasciola, paragonimus causes creeping lesion of abdominal wall Treatment is thiabendazole or deworming of household pets Hypoderma and Gastrophilus causes creeping myiasis